Which of the following is not a platelet associated coagulation factor?
1. vWF
2. Factor IX
3. Factor XI
4. Factor XIII

Correct answer: 2. Factor IX

Explanation: Ans. (b) Factor IX(Ref: Wintrobe's 12th/pg 499)Platelet associated coagulation factors are:Fibrinogen, vWF, Factor V, XI, XIII & HMWK